Corneal vascularisation is/are caused by:
1. Graft rejection
2. Chemical burn
3. Contact lens use
4. All

Correct answer: 4. All

Explanation: Ans. A, B and C